BSGT stands for
1. Bagolini striated glasses test
2. Bagolini smooth glasses test
3. Bagolini shiny glasses test
4. Bagolini second glue test

Correct answer: 1. Bagolini striated glasses test

Explanation: (Refer: AK Khurana Comprehensive Ophthalmology, 6th edition, pg no. 334 - 358)Bagolini striated glasses test, or BSGT, is a subjective clinical test to detect the presence or extent of binocular functions and is generally performed by an ohoptist. It is mainly used in strabismus clinics